Forensic entomology:
1. Study of insects
2. Study of poisons
3. Study of death
4. Study of snakes

Correct answer: 1. Study of insects

Explanation: Ans. (A). Study of insectsThanatologyQDeath & its aspectsTaphonomyDecomposition of human remainsAnthropometrystudy of the measurements and proportions of the human bodyDactylographyQFinger printsCheiloscopyQLip printsPoroscopyQSweat poresQ in between fingerprintridgesRugoscopyQPalatal rugaeQ of hard palateQOdontologyQDentition pattern & bite marksPodographyQFoot printsCalligraphyHand writingMedical etiquetteLevel of courtesy between medical colleaguesMedical ethicsMoral principles guiding the doctorsEcotoxicologyPoisons in relation to environmentToxicologyPoisons & its effectsToxicologyToxins & its effectsHerpetologyReptilesOphiologyQSnakesEntomologyQInsects